RNA transcription is blocked by this ATT:
1. Rifampicin
2. Streptomycin
3. Chloroamphenicol
4. INH

Correct answer: 1. Rifampicin

Explanation: Ref: 7th ed. Pg. 768MOA OF IMPORTANT ATT* Streptomycin- inhibit protein synthesis* Chloroamphenicol- inhibit protein synthesis by inhibiting transpeptidation* Rifampicin- inhibit DNA dependent RNA synthesis by inhibiting RNA polymerase* INH & Pyrazinamide: inhibits mycolic acid, a component of mycobacterial cell wall* Ethambutol: Inhibit incorporation of mycolic acid into bacterial cell wall by inhibiting arabinosyl transferase, thus weakening the wall.